In case of blunt injury which one of the following does not cause glaucoma?
1. Hyphema
2. Optic neuropathy
3. Uveitis
4. Angle recession

Correct answer: 2. Optic neuropathy

Explanation: Traumatic glaucoma causes:Inflammatory glaucoma due to iridocyclitis (anterior uveitis) (D-shaped pupili)HyphemaAngle recessionSubluxation of lensTrabecular edemaGhost cell glaucomaVasomotor reactionAdherent glaucoma